In spinal anaesthesia the segmental level of:
1. Sympathetic block is lower than the sensory block
2. Sympathetic block is higher than the sensory block
3. Motor block is higher than the sensory block
4. Sympathetic, motor and sensory block has the same level

Correct answer: 2. Sympathetic block is higher than the sensory block

Explanation: Spinal anaesthesia creates a zone of differential blockade in which sympathetic fibres are blocked two segments higher and motor fibres are blocked two segments lower than the level of sensory block.